Universally used method of behaviour management
in pediatric dentistry for both cooperative and
uncooperative children is
1. Voice control
2. Behaviour shaping
3. Implosion Therapy
4. Communication

Correct answer: 4. Communication